Anti-inflammatory dose of aspirin ?
1. 500 mg/d
2. 1 - 2 g/d
3. 3 - 6 g/d
4. 6 - 12 g/d

Correct answer: 3. 3 - 6 g/d

Explanation: Ans. is 'c' i.e., 3 - 6 g/d The anti-inflammatory action of aspirin is exerted at high doses of 3 - 6 g/ day or 100 mg/ Kg/ day. The anti-inflammatory action is mainly due to inhibition of COX, causing inhibition of PGs synthesis. In addition to COX inhibition, quenching of free radicals may contribute to its anti-inflammatory action.